The” STRING OF PEARL “ colonies on nutrient agar is produced by-
1. klebsiella
2. proteus
3. bacillus
4. salmonella

Correct answer: 3. bacillus